The taste pathway from circumvallate papillae of the tongue goes through:
1. Chorda tympani branch of Facial nerve
2. Greater petrosal nerve branch of Facial nerve
3. Superior laryngeal branch of Vagus nerve
4. Lingual branch of Glossopharyngeal nerve

Correct answer: 4. Lingual branch of Glossopharyngeal nerve

Explanation: Taste sensation from anterior two-thirds of the tongue run in the chorda tympani of the facial nerve, except for the circumvallate papillae (sensation carried by the glossopharyngeal nerve). Greater petrosal nerve carries taste from palate while internal laryngeal branch of superior laryngeal branch of vagus carries taste sensation from posterior most part of tounge and valleculae.